Protein A of staphylococcus binds to
1. IgA
2. IgG
3. IgD
4. IgE

Correct answer: 2. IgG

Explanation: Ans. is. b. IgG